Slow waves In EEG activity seen in :
1. Depression
2. Delirium
3. Schizophrenia
4. Mania

Correct answer: 2. Delirium

Explanation: B i.e. Delirium